Suicide is most common in -
1. Depression
2. Alcohol dependence
3. Dementia
4. Schizophrenia

Correct answer: 1. Depression

Explanation: Ans. is 'a' i.e., Depression Causes/Risk factors for suicidePsychiatric disorders : - Depression (most common), alcoholism (2nd me), Drug/Substance dependence, Schizophrenia, Dementia.Physical illness : - Cancer, AIDS, Multiple sclerosis, Head trauma.Psychosocial factors : - Failure in love, marital difficulties, family dispute, illegitimate pregnancy.Biological factors : - Decrease in serotoninOther - Male sex, Age > 40 years, Single (Unmarried, divorced or widowed), previous suicide attempt, social isolation.